Acute UTI is characterized by all except -
1. Pus cells in urine
2. Elastase activity in urine
3. Nitrite positive
4. Leucocyte esterase possitive

Correct answer: 2. Elastase activity in urine

Explanation: Pyuria is a urinary condition that is characterized by an elevated number of white blood cells in the urine.. Pyuria can cause the urine to look cloudy or as if it contains pus. The presence of pyuria often occurs in a urinary tract infection (UTI And nitrate test positive The incidence of true urinary tract infection (UTI) in adult males younger A positive nitrite test has 27% sensitivity and 94% specificity for UTI Leukocyte esterase is a screening test used to detect a substance that suggests there are white blood cells in the urine. This may mean you have a urinary tract infection. If this test is positive, the urine should be examined under a microscope for white blood cells and other signs that point to an infection Ref Harrison20th edition pg 288